Dermoid cyst of ovary contains derivatives from:
1. Endoderm
2. Mesoderm
3. Ectoderm
4. All

Correct answer: 4. All

Explanation: All